Which of the following is not an AIDS defining illness?
1. Hodgkin's lymphoma
2. Cervical cancer
3. Primary CNS lymphoma
4. Kaposi sarcoma

Correct answer: 1. Hodgkin's lymphoma

Explanation: Hodgkin's lymphoma is not an AIDS defining lesion, rest all the option are strongly associated with AIDS AIDS-defining malignancies: Kaposi sarcoma (m/c) B- cell Lymphoma Cervical cancer in women / Anal cancer in women